Causes of female pseudohermaphrodism is ____________
1. 17-alpha hydroxylase deficiency
2. 21-alpha hydroxylase deficiency
3. Mixed gonadal dysgenesis
4. All of the above

Correct answer: 2. 21-alpha hydroxylase deficiency

Explanation: 21 alpha hydroxylase dficiecy is characterised by deficiency of glucocorticoids and mineralocoritcoids with elevated androgen level. Excess androgen production during the critical period of fetal development leads to masculinization of female. female pseudohermaphroditism is a condition in which the gonadal sex is female, but the external genitalia are masculinized. Reference: Ghai textbook of pediatrics 8th edition pg 539